Height of the child is double the birth weight at the age of -
1. 1 year
2. 2 years
3. 4 years
4. 9 months

Correct answer: 3. 4 years

Explanation: O.P. Ghai 9th Edition : p. 13 An infant usually doubles his birth height by the age of 4 years.